All are stages of anaesthesia except –
1. Analgesia
2. Allodynia
3. Delirium
4. Surgical anesthesia

Correct answer: 2. Allodynia

Explanation: Stages of anaesthesia are :- Stage of analgesia (stage 1), stage of delirium or excitement (stage 2), stage of surgical anesthesia (stage 3) and stage of medullary paralysis (stage 4).